Which of the following organs is not involved in autoimmune polyendocrine syndrome 2
1. Parathyroid
2. Thyroid
3. Adrenal
4. Pancreas

Correct answer: 1. Parathyroid

Explanation: Autoimmune polyendocrine syndrome type 2, a form ofautoimmune polyendocrine syndrome also known as Schmidt's syndrome, APS-II, or PAS II, is the most common form of the polyglandular failure syndromes.autoimmune polyendocrine syndrome type 2 has an autosomal dominant pattern of inheritance, with an incomplete penetrance. Furthermore, the human leukocyte antigen is involved in this condition. Except pahyroid they effect the remaining. Ref https://en.wikipedia.org/wiki/Autoimmune_polyendocrine_syndrome_type_2